Interosseous membrane of forearm is piereced by?
1. Brachial artery
2. Anterior interosseous artery
3. Posterior interosseous artery
4. Ulnar recurrent artery

Correct answer: 2. Anterior interosseous artery

Explanation: Ans. is 'b' i.e., Anterior interosseous artery The anterior interosseous artery is the deepest artery on the front of forearm.It is one of the terminal branch of common interosseous artery, which in turn is a branch of ulnar artery.It is accompoined by anterior interosseous nerve, a branch of median nerve.It descends on the surface of the interosseous membrane between the FDP and FPL. It pierces the interosseous membrane at the upper border of the pronator quadratus to enter the extensor (dorsal) compartment.Branches of anterior interosseous artery are :?Muscular branches : For deep muscles of front of forearm.Nutrient artery to radius and ulna.Median artery.